Pupil dilatation is seen in poisoning with -
1. Dhatura
2. Ethyl alcohol
3. Brium carbonate
4. All the above

Correct answer: 4. All the above

Explanation: Ans. is 'd' i.e., All the above Poisoning of the following is associated with dilated pupils Atropine Tricyclic antidepressants Phenothiazines Dhatura Ethyl alcohol Barium carbonate